The mechanism of action of uncouplers of oxidative phosphorylation involves:
1. Inhibition of ATP synthase
2. Stimulation of ATP synthase
3. Disruption of proton gradient across the inner membrane
4. Disruption of proton gradient across outer membrane

Correct answer: 3. Disruption of proton gradient across the inner membrane

Explanation: Uncouplers are protein carriers that can freely pass through the inner mitochondrial membrane. It allows translocation of the protons into the intermembranous space during the electron transport in the respiratory chain but blocks the formation of proton gradient across the inner mitochondrial membrane. Thermogenin a protein present in the inner mitochondrial membrane of adipocytes is an example of physiologic uncouplers of oxidative phosphorylation. Examples of uncouplers are: 2,4 dinitrophenol, pentachlorophenol, nigericin, thyroxin and thermogenin. REF: Lippincott book of biochemistry 6th ed.